Which epidemic does not occur after a disaster?
1. Leptospirosis
2. Leishmania
3. ARTI
4. Rickettsia

Correct answer: 2. Leishmania

Explanation: Diseases common in Post-disaster Phase : Gastroenteritis (MC), Acute respiratory tract infections (Pneumonias), leptospirosis, Rickettsiosis, Rabies, equine encephalitis